In muscle, phosphorylase b is inactivated by:
1. cAMP
2. Ca ions
3. Glucose
4. ATP

Correct answer: 4. ATP

Explanation: D i.e. ATP